Spongiosis involves:
1. Stratum granulosum
2. Stratum corneum
3. Stratum spinosum
4. Stratum basale

Correct answer: 3. Stratum spinosum

Explanation: Spongiosis :extracellular accumulation of fluid in stratum spinosum. Eg: Acute eczema Ballooning: intracellular accumulation of fluid in stratum spinosum.Eg: Acute eczema Acanthosis :thickening of stratum spinosum. Eg: Chronic eczema